Pompe’s disease is caused due to deficiency of
1. Glucose-6-phosphatase
2. Glycogen synthase
3. Lysosomal glucosidase
4. Microsomal Pi transporter

Correct answer: 3. Lysosomal glucosidase

Explanation: Muscle Glycogen Storage Disorders: